short acting acting beta 2 agonist
1. Formoterol
2. Isoprenaline
3. Salbutamol
4. salmeterol

Correct answer: 3. Salbutamol

Explanation: short-acting beta2 agonists- salbutamol., terbutaline, pirbuterol long-acting- salmeterol, formoterol, clenbuterol ref kd Tripathi 8th ed